Cholangio carcinoma of liver caused by -
1. Hepatitis B infection
2. Cirrhosis of liver
3. Alpha - feto protein
4. Clonorchis - sinensis infection

Correct answer: 4. Clonorchis - sinensis infection